Not seen in first decade ?
1. Retino blastoma
2. Rhabdomyosarcoma
3. Neuroblastoma
4. Ameloblastoma

Correct answer: 4. Ameloblastoma

Explanation: Ameloblastoma is a rare, benign or cancerous tumor of odontogenicepithelium (ameloblasts, or outside portion, of the teeth during development) much more commonly appearing in the lower jawthan the upper jaw Ameloblastoma is a rare kind of tumor that starts in your jaw, often near your The tumor can Anyone can get one of these growths, but they're most often seen in adults ages 30 to 60. In the United States, between 300 and 600 cases are diagnosed every year. Reference: GHAI Essential pediatrics, 8th edition